Renal angle lies between?
1. 12th rib & lateral border of sacrospinalis
2. Ilth rib & lateral border of sacrospinalis
3. 12th rib & lateral border of quadratus lumborum
4. 1th rib & lateral border of quadratus lumborum

Correct answer: 1. 12th rib & lateral border of sacrospinalis

Explanation: Renal angle lies between the lower border of the 12th rib and the outer border of sacrospinalis (or erector spinae). Clinical importance : Tenderness in the kidney can be elicited by applying pressure over this angle, with the thumb.